Which antimalarial drug is implicated in causing hypoglycemia ?
1. Chloroquine
2. Pyrimethamine
3. Quinine
4. Primaquine

Correct answer: 3. Quinine